Vocal cord palsy is not associated with -
1. Vertebral secondaries
2. Left atrial enlargement
3. Bronchogenic carcinoma
4. secondaries in mediastinum

Correct answer: 1. Vertebral secondaries